Which of the following is the most common cause of a mixed cystic and solid suprasellar mass seen on cranial MR scan of a 10-year-old child?
1. Pituitary adenoma
2. Craniopharyngioma
3. Optic chiasmal glioma
4. Germinoma

Correct answer: 2. Craniopharyngioma

Explanation: Ans. Craniopharyngioma